Crystalline lens is derived embryologically from the
1. Surface ectoderm
2. Neuroectoderm
3. Surface ectoderm and mesoderm
4. Neuroectoderm and mesoderm

Correct answer: 1. Surface ectoderm

Explanation: FORMATION OF LENS VESICLE The optic vesicle grows laterally and comes in contact with the surface ectoderm. The surface ectoderm, overlying the optic vesicle becomes thickened to form the lens placode which sinks below the surface and is converted into the lens vesicle. It is soon separated from the surface ectoderm at 33rd day of gestation. Image : Embryonic Development of the Human Lens Reference :- A K KHURANA; pg num:- 06